An adult old man gets burn injury to his hands. Over a few weeks, the burned skin heals without the need for skin grafting. The most critical factor responsible for the rapid healing in this case is:
1. Remnant skin appendages
2. Underlying connective tissues
3. Minimal edema and erythema
4. Granulation tissue

Correct answer: 1. Remnant skin appendages

Explanation: The skin consists of two layers. Epidermis which is the most superficial layer of the skin constantly replaced from the basal layer Dermis which is thicker than epidermis and contains adnexal structures. -The importance of these adnexal structures is that they contain epithelial cells can proliferate and can heal a partial thickness wound by epithelialization.